EGC in young heaithy person with 80 beats/min willnot show-
1. PR interval between 80 to 120 msec
2. QRS interval less than 100 msec
3. Interval between 2 QRS is 750 msec
4. T. wave repressents repolarization

Correct answer: 1. PR interval between 80 to 120 msec

Explanation: Normal values for waves and intervals are as follows: RR interval: 0.6-1.2 seconds. P wave: 80 milliseconds. PR interval: 120-200 milliseconds The normal duration (interval) of the QRS complex is between 0.08 and 0.10 seconds -- that is, 80 and 100 milliseconds. When the duration is between 0.10 and 0.12 seconds, it is intermediate or slightly prolonged. A QRS duration of greater than 0.12 seconds is considered abnormal T wave represents the repolarization of the ventricles Ref Harrison 20th Ed pg 1434